Stony dull note on percussion is characteristic of-
1. Pleural effusion
2. Consolidation
3. Pleurisy
4. Tuberculosis cavity

Correct answer: 1. Pleural effusion

Explanation: Stony dullness will be obtained in pleural effusion over the lung base due to the accumulation of serous fluid in the pleural cavity.In left sided pleural effusion,there will be loss of tympanicity of Traube's space.The clinical features of pleural effusion include pleuritic chest pain,dyspnoea,tracheal and mediastinal shift to the opposite side,diminished or absent breath sounds,aegophony and bronchial breath sounds just above the level of effusion. Consolidation is characterised by dull percussion note,tuberculous cavity by impaired percussion note. Reference:Davidson's Medicine-22nd edition,page no:645,661.